Spot maps are used for a disease in Epidemiology for depiction of:-
1. Local distributions
2. Rural-urban variations
3. National variations
4. International variations

Correct answer: 1. Local distributions

Explanation: SPOT-MAPS:- Depict geographical/ local distribution of a disease or health condition in a defined place and time. Helps in localizing the source of infection locally in a geographical area. Used by John Snow to localize source of Asiatic Cholera in London. JOHN SNOW - FATHER OF EPIDEMIOLOGY/ Modern epidemiology.